A patient taken for surgery was given suxamethonium, following which his body temperature began to rise quickly. Along with this he also developed masseter spasm, tachycardia and arrhythmia. An ABG analysis also revealed that he has hypoxia, hypercarbia and acidosis. What is the mode of inheritance of the condition described above?
1. Autosomal dominant
2. Autosomal recessive
3. X linked dominant
4. X linked recessive

Correct answer: 1. Autosomal dominant

Explanation: The condition described above is malignant hyperpyrexia and it is inherited as an autosomal dominant condition. It is an emergency and immediate intervention is necessary. All precipitants should be stopped and the surgery postponed. Dantrolene 1 mg/kg IV bolus repeated up to a dose of 10 mg/kg can be given. The body temperature should be controlled with ice patches and all electrolyte disturbances should be corrected. Ref: Oxford Handbook of Clinical Specialities, Edition 8, Page 628